Gasless abdomen on X-ray is seen in what type of trachea-esophageal fistula?
1. Isolated TEF
2. EA with proximal TEF
3. EA with distal TEF
4. EA with double TEF

Correct answer: 2. EA with proximal TEF

Explanation: * In EA with proximal TEF, as there is no connection of the distal esophagus with the trachea or proximal esophagus, gasless abdomen will be seen on X-ray. Classification of TEF: Type A: Atresia only (60%) Type B: Atresia with proximal TEF (2%) Type C: Atresia with distal TEF (85%): most common Type D: Atresia with both proximal and distal TEF (rare) Type E: Isolated TEF (H-type) (1%)